Co factor of glutathione peroxidase -
1. Selenium
2. Magnesium
3. Manganese
4. Zinc

Correct answer: 1. Selenium

Explanation: Ans. is 'a' i.e., Selenium* Keshan's disease is a form of cardiomyopathy and is characterized by multifocal myocardial necrosis, cardiac arrhythmias and cardiac enlargement.* It is prevalent in the Keshan province of China, soil of which is deficient in Selenium.* Selenium deficiency in the soil is found to cause an increased prevalence of highly cirulent coxsackie B virus. Hence selenium deficiency and the superimposed Coxsackie B virus is found to precipitate Keshan's disease.* Treatment is selenium and Vitamin E supplementation